Retinoscopy is used for visualising the:
1. Whole retina
2. Only the peripheral part of the retina
3. Detecting errors of refraction
4. None

Correct answer: 3. Detecting errors of refraction

Explanation: Ans. Detecting errors of refraction